Major function of Vitamin E in the body ?
1. Regulation of energy metabolism
2. Carboxylation reactio
3. Blood clotting
4. Protection of biological membrane from free radical damage

Correct answer: 4. Protection of biological membrane from free radical damage

Explanation: Ans. is 'd' i.e., Protection of biological membrane from free radical damage The most important function of vitamin E in human beings is to act as an anti-oxidant. It prevents the oxidation of other antioxidants, .e.g, carotenes, vitamin A and vitamin C. Vitamin E is the lipid-soluble antixodant in cell membranes and plasma lipoproteins. The main function of vitamin E is as a chain-breaking, free radical-trapping antioxidant in cell membranes and plasma lipoproteins by reacting with lipid peroxide radicals formed by peroxidation of polyunsatured fatty acid. Vitamin E prevents rancidity of fats due to its antioxidant action.